The distance between tympanic membrane and medial wall of middle ear at the level of centre is:
1. 3 mm
2. 4 mm
3. 6 mm
4. 2 mm

Correct answer: 4. 2 mm

Explanation: (d) 2mm(Ref. BD Chaurasia, Human Anatomy 6th ed., Vol 3, page 277)Part of the middle ear cavityDistance from lateral to medial wallEpitympanum6mm (widest)Mesotympanum (centre)2mm (narrowest)Hypotympanum4mm